Which of the following surgery is contraindicated below 12 years of age?
1. Rhinoplasty
2. Antral puncture
3. SMR
4. Septoplasty

Correct answer: 3. SMR

Explanation: Contraindications of SMR

Patients below 17 years of age. In such cases, a conservative surgery (septoplasty) should be done.
An acute episode of respiratory infection.
Bleeding diathesis.
Untreated diabetes or hypertension.